Which of the following is seen in Rabies:
1. Cowdry B
2. Negri bodies
3. Guarneri bodies
4. Bollinger bodies

Correct answer: 2. Negri bodies

Explanation: Negri bodies